Diabetic patient with mass and blackish discharge from nose is most likely to have:
1. Aspergillus
2. Mucormycosis
3. Rhinosporidium
4. Candida

Correct answer: 2. Mucormycosis

Explanation: Ans: b (Mucormycosis) Ref: Dhingra, 4th ed, p. 151MucormycosisSeen in uncontrolled diabetics and immunosuppressive drug usageClinical features include black necrotic mass filling nasal cavity eroding the septumComplicationsIt can break through cribriform plate entering meninges and brainTreatment:Amphotericin B and surgical debridement